In a fetus highest oxygen concentration is found in?
1. Inferior vena cava
2. Superior vena cava
3. Left ventricle
4. Ascending aorta

Correct answer: 1. Inferior vena cava

Explanation: Among the following options, highest oxygen conc is found in IVC Saturation of Oxygen in fetal structures - Umbilical vein - 80% (PO2 of 30-35 mm Hg ) ( Max. in entire body of fetus ) Inferior vena cava - 70% (PO2 of 26-28 mm Hg) Left ventricle - 65% Right Ventricle - 55-60% Umbilical artery - very low SVC - (PO2 of 12-14 mm Hg)